Dendritic Keratitis is characteristic of :
1. Herpes virus
2. Pseudomonas
3. Streptococci
4. Staphylococci

Correct answer: 1. Herpes virus

Explanation: A i.e. Herpes virus